Vasomotor reversal of dale is demonstrated by
1. Fall in blood pressure by high dose intravenous Ach
2. Increase in blood pressure following administration of IV propranolol
3. Fall in blood pressure by ganglionic blocker
4. Fall in blood pressure by adrenaline pretreated with phentolamine

Correct answer: 4. Fall in blood pressure by adrenaline pretreated with phentolamine

Explanation: Ans. (d) Fall in blood pressure by adrenaline pretreated with phentolamine(Ref: Ganong, 25th ed/p.353)If the subject is given a blocker and then if epinephrine is injected, vasodilation and decrease in BP is seen. This effect is called "Vasomotor reversal of Dale"